Relationship between myasthenia gravis and effect of neuromuscular blocker, all true except:-
1. Patients with myasthenia gravis are resistant to succinylcholine
2. They are more sensitive to non-depolarizing neuromuscular blockers
3. If a neuromuscular blocker is used in myasthenic patient, they should be electricity ventilated till recovery
4. Neuromuscular blockers should be avoided in these patient and if used thrice the dose of reversal agent should be given to reverse it

Correct answer: 4. Neuromuscular blockers should be avoided in these patient and if used thrice the dose of reversal agent should be given to reverse it

Explanation: avoid NMBAs in patients with MG unless absolutely necessary. If NMBAs are necessary, the use of rocuroniumorvecuronium, and then reversal withsugammadex. Myasthenic patients, including those with only ocular MG and those in remission, have a variable, unpredictable response to administration of NMBAs compared with normal patients, as well as a variable response to NMBA reversal, including the possibility of cholinergic crisis. They tend to be resistant to depolarizing NMBAs and very sensitive to nondepolarizing NMBAs. In addition, treatment with anticholinesterase medication affects the degree of relaxation and duration of action of NMBAs. If NMBAs are administered, the degree of neuromuscular blockade should be monitored using a quantitative train-of-four nerve stimulator.